Which is the product excreted unchanged in catabolism of pyrimidine?
1. Uric acid
2. NH3
3. Pseudouridine
4. Beta alanine

Correct answer: 3. Pseudouridine

Explanation: Pseudouridine is excreted unchanged as it cannot be catabolized in human.